Population pyramid indicates ?
1. Life expectancy
2. Fertility pattern
3. Sex ratio
4. All of the above

Correct answer: 4. All of the above

Explanation: Ans. is 'd' i.e., All of the above Population pyramid The age and sex distribution of a population is best represented by population pyramid In countries with high birth rates as favours, it is broad based conical pyramid because of high birth rate and tapering of population with increase in age. In developed countries with low birth rate, the pyramid swells in the middle and is narrow at the base and is not so conical at the top. (dumb bell shaped). Utility of population pyramid Shape of population pyramid indicates fertility pattern Broad base, Narrow top (upright triangle): High proportion of younger population (developing countries) Bulge in Middle: High proportion of adults (developed countries) Span (height) of population pyramid indicates life expectancy Taller pyramid: Higher life expectancy (developed countries) Shorter pyramid: Lower life expectancy (developing countries) Symmetry of population pyramid indicates sex ratio Symmetric pyramid: ideal sex ratio ( developed countries) Asymmetric pyramid: unfavourable sex ratio <1000 (developing countries)